Lalita, a female pt. presents with pigmentation of the lips and oral mucosa and intestinal polyps. Her sister also gives the same history. Most probable diagnosis is
1. Carcinoid tumor
2. Melanoma
3. Villous adenoma
4. Peutz-Jegher syndrome

Correct answer: 4. Peutz-Jegher syndrome

Explanation: Ans. is 'd' ie. Peutz-Jeghers syndrome Peutz-.I ethers syndrome consists of;hamartomatous polyps throughout the intestine with maximum density in the jejunum *melanosis of the oral mucous membrane and the lips. The melanosis takes the form of melanin spots sometimes presents on the digits and the perianal skin, but the pigmentation of the lips is the sine quanon.